An aminoglycoside that is often combined with
polymyxin and bacitracin for the treatment of
topical infection is
1. Gentamycin
2. Tetracycline
3. Aztreonam
4. Neomycin

Correct answer: 4. Neomycin